Chemical process involved in conversion of progesterone to glucocorticoids is
1. Methylation
2. Hydroxylation
3. Carboxylation
4. None

Correct answer: 2. Hydroxylation

Explanation: The reactions are effected by hydroxylationThese specific hydroxylases are monooxygenases These enzymes are NADPH dependentRef: DM Vasudevan, 7th edition, page no: 665